The sensory supply of the palate is through all of following except-
1. Facial nerve
2. Hypoglossal nerve
3. Glossopharyngeal nerve
4. Maxillary division of trigeminal nerve

Correct answer: 2. Hypoglossal nerve

Explanation: Sensory supply of soft palate is :-


General: (i) Lesser palatine nerves, branches of maxillary division of trigeminal nerve through pterygopalatine ganglion, and (ii) glossopharyngeal nerve.
Special sensory : Gustatory sensations are contained in lesser palatine nerves. The fibers travel through greater petrosal nerve to geniculate ganglion of facial nerve and finally to nucles of tractus solitarius.